Which of the following statement is false regarding bulimia nervosa?
1. Weight is normal
2. Common in females
3. Onset in early adulthood
4. Mortality is high

Correct answer: 4. Mortality is high

Explanation: Ans. D. Mortality is highCommon Characteristics of Anorexia Nervosa and Bulimia Nervosa Anorexia NervosaBulimia NervosaClinical CharacteristicsOnsetMid-adolescenceLate adolescence/early adulthoodFemale: male10:110:1Lifetime prevalence in women1%1-3%WeightMarkedly decreasedUsually normalMenstruationAbsentUsually normalBinge eating25-50%Required for diagnosisMortality5% per decadeLowPhysical and Laboratory FindingsSkin/extremitiesLanugoAcrocyanosisEdema CardiovascularBradycardiaHypotension GastrointestinalSalivary gland enlargementSlow gastric emptyingConstipationElevated liver enzymesSalivary gland enlargementDental erosionHematopoieticNormochromic,normocytic anemiaLeukopenia Fluid/ElectrolyteIncreased BUN,creatinineHypokalemiaHypokalemiaHypochloremiaAlkalosisEndocrineHypoglycemiaLow estrogen or testosteroneLow LH and FSHLow-normal thyroxineNormal TSHIncreased cortisol BoneOsteopenia